Isoniazid induced peripheral neuritis is more common in which patient?
1. Slow acetylators
2. Fast acetylators
3. Slow oxidisers
4. Fast oxidisers

Correct answer: 1. Slow acetylators

Explanation: Ans. is 'a' i.e., Slow acetylators * Peripheral neuropathy is more likely to occur in slow acetylators and patients with predisposing conditions such as malnutrition, alcoholism, diabetes, AIDS, and uremia.